In a 27 yr old male most common cause of a colovesical fistula would be -
1. Crohns disease
2. Ulcerative colitis
3. TB
4. Cancer colon

Correct answer: 1. Crohns disease